True about shunt vessels:
1. >Evenly distributed throughout the skin
2. >Role in nutrition
3. >Play a role in thermoregulation
4. >No autonomic nervous regulation

Correct answer: 3. >Play a role in thermoregulation

Explanation: Play a role in thermoregulation Cutaneous shunt vessels have a role in thermoregulation The cutaneous microcirculation can be divided into thermoregulatory shunt vessels and nutritive skin capillaries. These shunt vessels have important role in thermoregulation. Nutritive function is performed by skin capillaries and not by shunt vessels. Cutaneous shunt vessels are under the control of Autonomic nervous system Like all other vessels, cutaneous shunt vessels also receive a sympathetic innervations. Cutaneous shunt vessels are not evenly distributed throughout the skin Rich A-V anastomoses are .found in. fingers, toes, ear lobules and nose.